Pauciarticular JRA is characterised by all except
1. Uveitis
2. Scleritis
3. Cataract
4. Keratopathy

Correct answer: 2. Scleritis

Explanation: B i.e. Scleritis